The fears that are produced by direct physical stimulation
of the sense organs are
1. Subjective Fears
2. Suggestive Fears
3. Objective Fears
4. Imitative fears

Correct answer: 3. Objective Fears